A 25 year old female presenting with amenorrhea and galactorrhea is suspected to have malignancy of the pituitary gland. Which of the following radiologic views is most useful for visualising the sella tursica?
1. Oblique view
2. Water's view
3. Cadwell's view
4. Lateral view of skull

Correct answer: 4. Lateral view of skull

Explanation: Lateral view of skull is best used to visualize sphenoid sinus and sella turcica, so this would be the most appropriate view in this patient. Cadwell's view is most useful for evaluating frontal and ethmoidal sinuses. Maxillary sinus is best visualised using Water's view. Reference: Imaging of the Head and Neck By Mahmood Mafee, 2e page 380.